True about coronory sinus:
1. Remnant of left horn of sinus venosus
2. Great, middle & small cardiac vein drain into it
3. Thebesian valve guard its opening
4. All

Correct answer: 4. All

Explanation: A i.e. Remnant of left horn of sinus venosus; B i.e. Great, middle & small cardiac vein drain into it; C i.e. Thebesian valve guard its opening